Smith Noguchi's media is used for -
1. Salmonella
2. Klebsiella
3. Spirochetes
4. Bacillus

Correct answer: 3. Spirochetes

Explanation: Cultivation of nonpathogenic treponemes (e.g., Reiter strain of Treponema phagedenis) REF: Text book of microbiology Ananthanarayan Page no. 39